False about Keshan's disease
1. Due to excess of selenium
2. Endemic cardiomyopathy in China
3. Due to increased diet of maize
4. Most common in children and women of child bearing age

Correct answer: 1. Due to excess of selenium

Explanation: KESHAN'S DISEASE :- Due to DEFICIENCY of selenium Endemic cardiomyopathy in China Due to increased diet of maize Most common in children and women of child bearing age